Optic vesicle is derived from -
1. Endoderm
2. Mesoderm
3. Neuroectoderm
4. Surface Ectoderm

Correct answer: 3. Neuroectoderm

Explanation: Ans. is 'c' i.e. Neuroectoderm o The eye begins to develop as a pair of optic vesicles on each side of the forebrain at the end of the 4th week of pregnancy. Optic vesicles are outgrowings of the brain (Neuroectoderm) which make contact with the surface ectoderm and this contact induces changes necessary for further development of the eye. Through a groove at the bottom of the optic vesicle known as choroid fissure the blood vessels enter the eye.o Eye morphogenesis begins with the evagination, or outgrowth, of the optic grooves or sulci. These two grooves in the neural folds transform into optic vesicles with the closure of the neural tube.The optic vesicles then develop into the optic cup with the inner layer forming the retina and the outer portion forming the retinal pigment epithelium. The middle portion of the optic cup develops into the ciliary body and iris.During the invagination of the optic cup, the ectoderm begins to thicken and form the lens placode, which eventually separates from the ectoderm to form the lens vesicle at the open end of the optic cup.